In which of the following group of people ischiopubic index is significantly high?
1. Caucasians
2. Males
3. Females
4. Advanced age

Correct answer: 3. Females

Explanation: Ischiopubic index: (Pubic length in mm/Ischial length in mm) x 100 In males, ischiopubic index is 73-94. But in females it is 91-115. Ref: The Essentials of Forensic Medicine and Toxicology by Narayan Reddy, 27th edition, Page 56.